All of the following Atypical Antipsychotic drugs cause prolonged QT interval except
1. Risperidone
2. Ziprasidone
3. Quitapine
4. Olanzepine

Correct answer: 4. Olanzepine

Explanation: (D) Olanzepine # Anti-psychoticDrugs that prolong the QT interval and in some have been associated with torsades de pointes> Clozapine Anti-psychotic / schizophrenia> Felbamate Anti-convulsant / seizure> Fosphenytoin Anti-convulsant / seizure> Lithium Anti-mania / bipolar disorder> Quetiapine Anti-psychotic / schizophrenia> Risperidone Anti-psychotic / schizophrenia> Ziprasidone Anti-psychotic / schizophrenia